Rasmussen's aneurysm is seen in:
1. Bronchial artery
2. Pulmonary
3. Vertebral artery
4. Internal carotid artery

Correct answer: 2. Pulmonary

Explanation: Rtf: American journal of Roentology, Jan 2000, vol 174, 262-263Explanation:The pulmonary circulation carries deoxygenated blood from the R V across the pulmonary capillary- % bed & returns oxygenated blood via the pulmonary veins. This is a low pressure circuit.The bronchial circulation is a nutritional source for the lung. They branch from the aorta & is at systemic pressure, hence bleed profusely.Rasmussen's aneurysm is the aneurysm of small & medium pulmonary artey branches adjacent a tuberculous cavityDistributed peripherally, beyond the main pul. arteryCaused by granulomatous infiltration of intima & media of the artery by the tuberculous process in the nearby cavityCan cause hemoptysis, sometimes litethreateningTreatment- Pulmonary and bronchial artery embolisationOther causes of hemoptysis in a patient with PTB are1. Tubercular cavity2. Endobronchial tuberculosis3. Brock's syndrome4. Post-tubercular bronchiectasis5. AspergiHoina(funga] ball)6. Scar carcinomaCauses of hemoptysis:Tuberculosis, lung abscess, bronchiectasis, pneumonia, fungal infections (aspergillosis, nocardiosis, blastomycosis)Bronchogenic ca, bronchial adenoma, mets to lung (chorio ea, renal cell ca).Bronchiectasis, bronchial cyst, sequestration lungMitral stenosis. PAH, aortic aneurysm, AVM, pulmonary embolismVasculitis, wegner's, Goodpasture'sBleeding disorders